Failure of bleeding after withdrawal of oestrogen indicates :
1. Uterine factor
2. Ovarian factors
3. Pituitary factor
4. Hypothalamic factor

Correct answer: 1. Uterine factor

Explanation: Uterine factor